Cholecystocaval line - True Statement is:
1. Separates right and left hepatic lobes
2. Separate gallbladder from IVC
3. Separate right anterior and right posterior
4. Separate left medial and Left lateral

Correct answer: 1. Separates right and left hepatic lobes

Explanation: Ans. (a) Separated right and left hepatic lobesRef: Surgery Sixer 3rd Edition Page 628* Cholecystocaval Line - also known as Cantie's Line is an imaginary line running from Gallbladder fossa to IVC and divides the liver into right and left lobe